Aldosterone regulates extracellular volume and potassium homeostasis by binding to its receptors present in all, EXCEPT:
1. Liver
2. Colon
3. Hippocampus
4. Distal nephron

Correct answer: 1. Liver

Explanation: Aldosterone regulates extracellular volume and potassium homeostasis by binding to renal cortical collecting duct principal epithelial cell mineralocorticoid receptors. The mineralocorticoid receptor -- a member of the nuclear receptor family and also found in the heart, colon, and hippocampus -- is localized to the cytoplasm prior to activation, undergoes a conformational change on binding to aldosterone, and translocates into the nucleus where it functions as a transcription factor. Aldosterone is rapidly inactivated to tetrahydroaldosterone in the liver. Ref: Young, Jr W.F. (2011). Chapter 10. Endocrine Hypertension. In D.G. Gardner, D. Shoback (Eds), Greenspan's Basic & Clinical Endocrinology, 9e.